A patient of prinzmetal's angina is started on isosorbide mononitrate. What is the mechanism of action of nitrates in this condition?
1. Reduced cardiac contractility
2. Increased left ventricular end diastolic volume
3. Decreased diastolic perfusion pressure
4. Endothelium independent coronary vasodilation

Correct answer: 4. Endothelium independent coronary vasodilation

Explanation: Ans. (D) Endothelium independent coronary vasodilation(Ref: KDT 7th/e p541)Predominant mechanism of action of nitrates in angina:*In Classical angina: Decrease in preload*In Variant angina: Coronary vasodilation